Which of the following is not a cause for primary amenorrhea?
1. Sheehan's syndrome
2. Kallmann's syndrome
3. Mayer Rokitansky Koster Hauser syndrome
4. Turner syndrome

Correct answer: 1. Sheehan's syndrome